True about membranous GN are following except -
1. Thickening of B.M
2. Deposition between endothelium and B.M.
3. Most common cause of nephrotic syndrome in adults
4. Seen in SLE, tumors, drugs

Correct answer: 2. Deposition between endothelium and B.M.

Explanation: Membranous glomerulonephritis 

Membranous glomerulonephritis, also known as membranous nephropathy, is a slowly progressive disease of the kidney affecting mostly patients between ages of 30 and 50 years.
Membranous glomerulonephritis is classified


Primary (idiopathic) - 85%
Secondary  - 15%


Drugs → Penicillamine, captopril, gold, NSAIDS
Malignant tumors → Lung, colon, melanoma
Autoimmune conditions → SLE, thyroiditis
Infections → HBC, HCV, syphilis, schistosomiasis, malaria

Membranous glomerulonephritis is characterized by -

Diffuse thickening of the glomerular capillary wall.
Accumulation of electron - dense, immunoglobulin containing deposits along subepithelial side (between epithelium and GBM).
Membranous glomerulonephritis is the most common cause of nephrotic syndrome in adults.